Nasopharyngeal carcinoma affects which age group
1. Children
2. Adolescents
3. 3rd decade
4. 5th decade

Correct answer: 4. 5th decade

Explanation: * Age:- It is mostly seen in fifth to seventh decades but may involve younger age groups. It is not uncommon to see the cancer of nasopharynx in the twenties and thirties. * Sex:-Males are three times more prone than females. (Ref: Diseases of Ear, Nose and Throat, P.L Dhingra, 7th edition, page 284)